All are true regarding Pathological Jaundice except
1. Increase in unconjugated Bilirubin only
2. May appear within first 24 hours
3. May Persist beyond 3 weeks
4. Maximum in bilirubin > 5mg / 24 hours

Correct answer: 1. Increase in unconjugated Bilirubin only

Explanation: Physiological Jaundice
Pathological Jaundice




Never appears in 1st 24 hours




May appear in 1st 24 hours






Increase in unconjugated bilirubin only




Increase in both conjugated and unconjugated bilirubin






Urine does not stain diaper




Urine stain diaper






Does not stain palnus and soles




May stain palnus and soles (Peax Bilirubin >15 mg%)






Does not persist beyond 3 weeks




May persist beyond 3 weeks






Maximum increase in Bilirubin < 5mg/day




> 5 mg / day